A student unable to deliver speech beforeaudience is suffering from ?
1. Social phobia
2. OCD
3. Agoraphobia
4. Claustrophobia

Correct answer: 1. Social phobia

Explanation: Ans. is 'a' i.e., Social phobia Phobic disorders Phobia is persistent and morbid fear of specific situation, object or activity. The fear is morbid because : ? The fear is irrational : The objects or situations do not produce fear in normal persons. The fear is out of proportion to the dangerousness perceived that the affected person avoids the situation permanently. Patient is unable to control the fear and is very distressed by it. The common types of phobia are : ? 1. Agoraphobia This is an example of irrational fear of situations. It is the commonest type of phobia encountered in clinical practice. It is characterized by an irrational fear of being in places away from familiar setting of home and patient believes that he cannot escape from these places, to a safer place (usually home). This fear results in avoidance of these places which include public places, stores, crowd, travelling alone in bus, train or plane, Theaters, Tunnels, Bridge, standing in line small enclosed rooms or lifts. The patient is afraid of all the places or situations from where escape may be perceived to be difficult if he suddenly develops embrassing or incapaciating symptoms. These embrassing or incapaciating symptoms are the classical symptoms of panic. A full-blown panic attack may occur (agoraphobia with panic disorder) or only a few symptoms (like dizziness or tachycardia) may occur (agoraphobia without panic disorder). 2. Social phobia In social phobia there is irrational fear of one or more social or performance situations in which the person is concerned about negative evaluation or scrutiny by others, for example : Public speaking; writing/drinking/eating in public; using public lavatories. Feared social or performance situations may produce anxiety symptoms, even a panic attack. Therefore, feared social or performance situations are avoided. 3. Specific (simple) phobia These are phobias limited to highly specific situations or objects, for example. Claustrophobia :-Fear of closed spaces Acro/Aerophobia :-Fear of high places Zoophobia :- Fear of animals Pyrophobia :- Fear of fire Xenophobia :- Fear of strangers Algophobia :- Fears of pain Thanatophobia :- Fear of death Mysophobia :- Fear of dirt & germs Erythrophobia :- Fear of blushing Sitophobia :- Fear of eating Ailurophobia :- Fear of cats Sitaphobia :- Fear of dogs Hydrophobia :- Fear of water